Inherited coagulation defect with T coagulation is found in -
1. Protein C deficiency
2. Protein S deficiency
3. Antithrombin III deficiency
4. All

Correct answer: 4. All

Explanation: Ans. is 'a'i.e Protein C deficiency; 'b' i.e., Protein S deficiency; 'c' i.e., Antithrombin III deficiency